All of the following are common antimicrobial agents used in the treatment of typhoid fever except :
1. Ceftriaxone
2. Quinolones
3. Clindamycin
4. Azithromycin

Correct answer: 3. Clindamycin